En block dissection and organ separation are done by:
1. Virchow
2. Ghon
3. Rockitansky
4. Letulle

Correct answer: 2. Ghon

Explanation: Dissection techniques Defined by Organ by organ Virchow En block Ghon In situ method Rockitansky En masse Letulle